Vitamin essential for transamination is:
1. B1
2. B2
3. B6
4. B12

Correct answer: 3. B6

Explanation: Ans. C. B6 Transamination is a process of transfer of amino group from an amino acid to a keto acid to form a new amino acid and a new keto acid. It requires transaminases enzyme and PLP of Vitamin B6 as a co-enzyme.